The coagulation profile in a 13-year old girl with menorrhagia having von Willebrand's disease is ?
1. Isolated prolonged PTT with a normal PT
2. Isolated prolonged PT with a normal PTT
3. Prolongation of both PT and PTT
4. Prolongation of thrombin time

Correct answer: 1. Isolated prolonged PTT with a normal PT

Explanation: Ans. is 'a' i.e., Isolated prolonged PTT with a normal PT